Mandibular fracture which causes facial widening is:
1. Symphysis and B/L condylar fracture
2. Parasymphysis fracture
3. Angle fracture
4. Condylar fracture

Correct answer: 1. Symphysis and B/L condylar fracture

Explanation: A guardsman fracture, also referred to as parade ground fracture, is one of the common forms of mandibular fracture which is caused by a fall on the midpoint of the chin resulting in fracture of the symphysis as well as both condyles. Symphysis and B/L condylar fracture is guardsman fracture.